Not an Organophosphate
1. Diazinon
2. Endrin
3. Malathion
4. Parathion

Correct answer: 2. Endrin

Explanation: Endrin is an organochloride with the chemical formula C12H8Cl6O. It was primarily used as an insecticide, as well as a rodenticide and pesticide. Commonly used organophosphates are Parathion Malathion Methyl parathion Chlorpyrifos Diazinon Dichlorvos Phosmet Fenitrothion Tetrachlorvinphos Azamethiphos Azinphos-methyl Ref - Krishnan Vij 5th edition pg 532